Most common thyroid malignancy is
1. Anaplastic carcinoma
2. Follicular carcinoma
3. Medullary carcinoma
4. Papillary carcinoma

Correct answer: 4. Papillary carcinoma

Explanation: Malignancy Relative incidencePapillary carcinoma 80%Follicular carcinoma 10%Poorly differentiated/anaplastic carcinoma 5%Medullary carcinoma 2.5%Lymphoma 2.5%Ref: Bailey and love, page no: 816